Rockall score is used in prognosis of
1. Upper GI bleed
2. Lower GI bleed
3. Hepatic encepholapathy
4. IBD

Correct answer: 1. Upper GI bleed

Explanation: Rockall risk scoring system attempts to identify patients at risk of adverse outcome following acute upper gastrointestinal bleeding. Ref Davidson edition23rd pg ,793